All of the following statements about Gleason grading system are true Except
1. Scores range from 1 to 10
2. High score is associated with bad prognosis
3. Helps in grading of tumor
4. Helps decide treatment modality

Correct answer: 1. Scores range from 1 to 10

Explanation: Gleason's microscopic grading system which is based on two features:i) Degree of glandular differentiation.ii) The growth pattern of the tumor in relation to the stroma.These features are assessed by low-power examinationof the prostatic tissue. For clinical staging of prostate cancer,The TNM system is considered an international standard. HARSH MOHAN Textbook of pathology 6th edition pg no 720 Gleason score ranges from 2 to 10Q. Gleason score and grading system a. Gleason score is the most commonly used histological grading system for 1 to 5 prostate cancer. b. (The two most predominant histological pattern of the prostate cancer are assigned a Gleason grade ranging from 1-5.) c. The primary grade is assigned to the pattern of cancer that is most commonly observed in the histological slides of the specimen. d. The secondary grade is assigned to the second most commonly observed pattern in the specimen. e. Gleason score is the sum of the two grades. Thus it is also known as Gleason sum". f. If the entire specimen has only one pattern present, then both the primary and secondary grades are reported as the same grade. g. As Gleason grades range from 1 to 5, Gleason score thus ranges from 2 to 10. h. i. The Gleason score is used to help evaluate the prognosis of men with prostate cancer. Together with other parameters, the Gleason score is incorporated into a strategy of prostate cancer staging which predicts & prognosis and helps guide therapy. j. A point of importance is that the primary Gleason grade is most important with respect to placing patients in prognostic groups. For example in patients with a Gleason score 7, a Gleason 4+3 is a more aggressive cancer than a Gleason 3+4. Ref: Smith's Urology 16/ep375